All are true about achalasia except
1. Dilatation of proximal segment
2. It predisposes to malignancy
3. Body peristalsis is normal
4. LES pressure is increased

Correct answer: 3. Body peristalsis is normal

Explanation: Destruction of the nerves to LES is primary pathology and degeneration of neuromuscular function of the body of the esophagus is secondary. An absence of body peristalsis and poor LES relaxation is mandatory for diagnosisRef: Harrison; 19th edition